Kwashiorkor is characterised by all, EXCEPT:
1. Dermatitis
2. Edema
3. Flag sign
4. Alertness

Correct answer: 4. Alertness

Explanation: Markedly retarded growth, psychomotor changes and edema of the dependant parts are the three essential clinical features of Kwashiorkor. With the onset of Kwashiorkor, the previously peevish and irritable undernourished child becomes lethargic, listless and apathetic. He takes little interest in the environment and does not play with his toys. Alternate bands of normal and light colour hair called Flag sign is seen in Kwashiorkor patients. Ref: O.P.Ghai, 6th Ed, Page 105.